Following is a type of physical urticaria -
1. Dermographism
2. Urticaria pigmenthosa
3. Urticaria vasculitis
4. Auto-immune urticaria

Correct answer: 1. Dermographism

Explanation: Dermographism:-Type of physical urticaria- induced by mechanical stimulus also called as Skin writing Rapid appearence of wheal flare at the site of brisk firm stroke made with a firm object.Lesions are often linear/ assume the shape of eliciting stimulus.Local erythema followed by edema.Most common physical urticaria seen in young adults sometimes symptomatic pruritus is present before the onset of lesions IADVL textbook of dermatology, cutaneous vascular responses, page 661